Leptospirosis is transmitted by:
1. Fecal oral route
2. Aerosol route
3. Infected rats urine
4. Milk

Correct answer: 3. Infected rats urine

Explanation: Ans. (c) Infected rat's urineRef : K. Park 23rd ed. / 291-92* Leptospirosis is caused by infection with bacteria of the genus Leptospira and affects humans as well as other animals.* One of the zoonotic infection, which transmits from animals to human* Leptospirosis is transmitted by the urine of an infected animal like rat, mice or moles and is contagious as long as the urine is still moist.Also knowDoxycline 200-250 mg once a week used as prophylaxis